Fetal requirement of iron is :
1. 200 mg
2. 300 mg
3. 400 mg
4. 500 mg

Correct answer: 2. 300 mg

Explanation: Ans. is b i.e. 300 mg Iron Requirements in Pregnancy : To compensate for external iron losses through sweat, urine and faeces - 170 mg For expansion of maternal Red cell mass 450 mg Fetal requirement 270 mg Iron in placenta and cord 90 mg Also Know Significance of knowing the above requirement All above requirements add up to = 980mg of Iron (1000-1200 mg). Blood loss at the time of delivery uses = 100-250mg of Iron. In pregnancy 240-480mg of Iron is conserved due to amenorrhea (i.e. 980 + 100 to 250 - 240 to 480). Therefore, net need of iron in pregnancy is 600 - 800 mg, which means 4-6 mg/day of absorbable iron is required. Since iron absorption is <10% of the total iron intake, therefore to fulfil the requirment of 4-6 mg/day around 40-60mg of the iron should be available in diet. Diet alone cannot supply such amount of iron, so iron supplementation is necessary in all pregnant females. Remember : Iron requirement during pregnancy : On an average 4mg/day of iron is required throughout pregnancy or : 2.5mg/day upto 20 weeks 5.5mg/day in 20-32 weeks 6-8mg/day 32 weeks onwards